Granulomatous condition showing hypercalcemia A/E-
1. TB
2. Sarciodosis
3. Berylliosis
4. SLE

Correct answer: 4. SLE